Reversal of lead foil on X-ray film may appear as:
1. Herring bone
2. Embossed tram track pattern
3. Both 1 and 2
4. None

Correct answer: 3. Both 1 and 2

Explanation: Reversal of lead foil on X-ray film: Herring bone / Embossed tram track pattern.